Oligohydramnios is seen in all except:
1. Renal agenesis
2. Rh incompatibility
3. IUGR
4. Postrnaturity

Correct answer: 2. Rh incompatibility

Explanation: Rh incompatibility